The amniotic membrane is characterized by all except:
1. Provides maximum tensile strength
2. Highly vascular
3. It developed after 2-7 days of gestation
4. Derived from Foetal ectoderm

Correct answer: 2. Highly vascular

Explanation: AMNION
At term, amnion is tough and tenacious.
It provides almost all of the tensile strength of the fetal membranes.
It is avascular and plicable.
It is the innermost fetal membrane and is contiguous with the amniotic fluid.